An old man muthoot has difficulty in urination Associated with increased urge and frequency .He has to get up several times in night to relieve himself. There is no history of any burning micturation and lower back pain.which of the following represent the most likely change in bladder of the patient
1. Hyperlasia
2. Atropy
3. Hypertrophy
4. Metaplasia

Correct answer: 3. Hypertrophy

Explanation: Ref , Robbins 8/e p6-7 .9/e p36 The patient is most likely suffering from benign hyperplasia of prostate the question however asks about the change in bladder which would be hypertrophy.This is secondary to obsruction in the urine outflow following which the smooth muscle in the bladder